The ideal bone for implant support is
1. Spongy bone
2. Cortical bone
3. Lamellar bone
4. Woven bone

Correct answer: 3. Lamellar bone